Maternal disomy of chromosome 15 is seen in
1. Prader - Willi syndrome
2. Klinefelter's syndrome
3. Angelman syndrome
4. Turner's syndrome

Correct answer: 1. Prader - Willi syndrome

Explanation: Uniparental disomy occurs when both chromosomes of a pair or areas from 2 chromosome in any individual have been inherited from a single parent. Maternal uniparental disomy is seen in Leader -Willi syndrome. Paternal uniparental disomy is seen in Angelman syndrome . Reference: Nelson TB of pediatrics pg 412 19th edition.